Pseudosulcus in larynx is
1. Laryngopharangeal reflux
2. Vocal abuse
3. Chronic steroid use
4. Tuberculosis

Correct answer: 1. Laryngopharangeal reflux

Explanation: Laryngeal pseudosulcus refers to edema of the ventral surface of the true vocal fold that extends from the anterior commissure to the posterior larynx. Patients with pseudosulcus are nearly 2.5 times more likely to have pH-documented Larynopharyngela reflux.